Ranula is a condition which occur in:
1. Pre auricular area
2. Medial angle of orbit
3. Nasolabial angle
4. Floor of the mouth

Correct answer: 4. Floor of the mouth